Linguine sign is Seen in
1. Duct ectasia
2. Duct papilloma
3. Breast carcinoma
4. Rupture of breast implant

Correct answer: 4. Rupture of breast implant

Explanation: It is a sign seen in intracapsular rupture of breast implant on MRI.